Visual impairment in pterygium is due to –
1. Astigmatism
2. Myopia
3. Hypermetropia
4. Hazy cornea

Correct answer: 1. Astigmatism

Explanation: Visual disturbances occur when pterygium encroches the pupillary area or due to corneal astigmatism induced due to fibrosis in the regressive stage.